Shape memory is seen in:
1. Stainless steel wire
2. NITINOL wire
3. TMA wire
4. Aluminium

Correct answer: 2. NITINOL wire